The principal polypeptide that increases food intake are all except
1. Neuropeptide Y
2. Leptin
3. Orexin A
4. Ghrelin

Correct answer: 2. Leptin

Explanation: An orexigenic, or appetite stimulant, is a drug, hormone, or compound that increases appetite and may induce hyperphagia. This can be a naturally occurring neuropeptide hormone such as ghrelin, orexin or neuropeptide Y, or a medication which increases hunger and therefore enhances food consumption Ref: guyton and hall textbook of medical physiology 12 edition page number:811,812,813